Maximum dose of lignocaine with adrenaline (in mg/kg)
1. 4
2. 5
3. 7
4. 10

Correct answer: 3. 7

Explanation: Maximum safe dose of plain lidocaine - 300 mg (4.5 mg/kg)Maximum safe dose of lidocaine with epinephrine- 500 mg (7mg/kg)(Refer: Morgan and Mikhail's Clinical Anaesthesiology, 5th edition, pg no. 754, 856)